Pancreatitis, pituitary tumor and phaeochromocytoma may be associated with -
1. Medullary carinoma of thyroid
2. Papillary carinoma of thyroid
3. Anaplasticcarinoma of thyroid
4. Follicular carinoma of thyroid

Correct answer: 1. Medullary carinoma of thyroid

Explanation: medullary carcinoma of thyroid has 3 familial forms MEN 2A,MEN 2B, and familial MTC without other features of MEN (Harrison 17 pg 2246)